PG responsible for fever in brain is
1. PGD2
2. PGE2
3. PGF2a
4. PGI2

Correct answer: 2. PGE2

Explanation: (B) PGE2 [?]Fever:-An abnormally elevation of body temperature-Pyrexia, febrile-Results from trauma, infections, drug reactions, brain tumors and other causes.oFever is an adaptive defence mechanism, in moderation, does more good than harm-Promotes interferon activity-Elevates metabolic rate and accelerates tissue repair-Inhibits reproduction of bacteria and viruses.oInitiation of fever by exogenous pyrogens - fever producing agents.-Glycolipids on bacterial and viral surfaces.-Attacking neutrophils & macrophages secrete endogenous pyrogens.-Stimulate neurons in anterior hypothalamus to secrete prostaglandin E2 .-PGE2 raises hypothalamic set point for body temperature.oStages of fever:-Onset, stadium, defervescence[?]Endogenous pyrogensoDerived from the macrophages, small molecule, can pass blood brain barrieroPyrogen cytokines trigger hypothalamus to release PGE2 resulting in resetting of thermostatic temperature, activation of vasomotor center, vasodilatation and heat production.[?]Fever pathogenesisoRegulated like body temperature, at a higher set pointoSet point is reset by endogenous pyrogens (IL-1, IL-6, TNF-a, TNF-b, and IFNg)oEndogenous Pyrogens stimulate Organum Vsculosum Laminae Terminalis (OVLT) surrounding the preoptic nucleus, anterior hypothalamus and septum palusolumoTriggered OVLT synthesis of PG (PGE2 ) - preoptic nucleus - fever